True about factory Act 1976
1. Adolescents aged from 15 years can work from 7 pm to 6 am
2. Women and children are employed in all kinds of work
3. Children < 14 years are prohibited from any employment
4. Adolescents of 16 years need not be duly certified as fit for work by certifying surgeon.

Correct answer: 3. Children < 14 years are prohibited from any employment